Which amongst the following a marker of carinoma?
1. Cytokeratin
2. Vimentin
3. Calretinin
4. CD45

Correct answer: 1. Cytokeratin

Explanation: Cvtokeratins are a class of intermediate filaments that demonstrates epethelial differentiation and are the most commonly used marker to identify 'Carcinomas'.